The cells of the human body most sensitive to ischemia are:
1. Neurons
2. Nephrons
3. Cardiac myocyte
4. Hepatocytes

Correct answer: 1. Neurons

Explanation: Ans. a. Neurons (Ref: Ganong 24/e p653; Abe K, Aoki M Kawagoe J. Yoshda T, Hattori A, Kogure K and Itoyama Y. Ischemic Delayed Neuronal Death: A Mitochondrial Hypothesis. Stroke. 1995;26;1478-1489; Robbins 9/e p130, 8/e p129)The cells of the human body most sensitive to ischemia are neurons."The susceptibility of a tissue to hypoxia influences the likelihood of infarction. Neurons are most sensitive to hypoxia (irreversible changes develop in 3-4 minutsQ followed by myocardial cells (irreversible changes develop in 20-40 minutes). Fibroblast are amongst most resistant cells to hypoxia." -Robbins 8/e p129"Brain cells, especially neurons, are very sensitive to various injuries, such as ischemia, hypoxia, hypoglycemia, infection, and trauma. The vulnerability is different even within neuronal populations. A brief period of global brain ischemia causes cell death in hippocampal CA1 pyramidal neurons days after reperfusion. Other neurons, such as parietal cortical or hippocampal CA3, are much less vulnerable. This phenomenon in commonly referred to as delayed neuronal death. A similar phenomenon occurs after ischemic injury in humans. Prolonged ischemia extends the area of neuronal death to the caudate and thalamic nuclei. However, because hippocampal CA1 neurons are most vulnerable to ischemia, the cell death has been thought to represent a sensitivity of the neurons to injuries." Abe K, Aoki M, Kawagoe J, Yoshda T, Hattori A, Kogure K and Itoyama Y. Ischemic Delayed Neuronal Death: A Mitochondrial Hypothesis. Stroke. 1995; 26; 1478-1489